Misoprostol has been found to be effective in all of the following, EXCEPT:
1. Medical method of abortion
2. Induction of labor
3. Menorrhagia
4. Prevention of postpartum hemorrhage (PPH)

Correct answer: 3. Menorrhagia

Explanation: Misoprostol is a prostaglandin E1 analog having positive effect on myometrial contractility irrespective of duration of gestation. Hence, it helps in expulsion of fetus in abortion, as well as to control hemorrhage from opened sinuses in an atonic postpartum uterus (800 micrograms per rectally). It effects cervical ripening and is used for induction of labor. misoprostol does not hold any value for menorrhagia management.